Which of the following enzyme is constituent of HMP shunt
1. Glucose 6 Phosphatase
2. Hexokinase
3. G6P dehydrogenase
4. Phosphorylase

Correct answer: 3. G6P dehydrogenase